NADA's criteria are used for:
1. Assessment of child for degree of dehydration
2. Assessment of child for degree of malnutrition
3. Assessment of child for presence of heart disease
4. Assessment of child for degree of mental

Correct answer: 3. Assessment of child for presence of heart disease

Explanation: Answer is C (Assessment of child for presence of Heart disease) NADA's criteria are used for assessment of child for presence of heart disease. The assessment of a child for the presence or absence of heart disease can be done with the help of some guidelines suggested by 'V -I DA. These guidelines are called NAT) criteria. Major Minor * Systolic murmur, grade III or more, especially with a thrill * Systolic murmur < grade III * Diastolic murmur * Abnormal 2nd heart sound * Abnormal ECG * Cyanosis * Abnormal X Ray Presence of one major and two minor criteria are essential for indicating the presence of heart disease.